After intracoronal bleaching immediate facial composite veneer is required, what should be done
1. Rinse with 3 % hydrogen peroxide and ultrasonics
2. Treat with catalase for 3 mins
3. Cannot be done at least for 7 days
4. Rinse with triple distilled water

Correct answer: 2. Treat with catalase for 3 mins

Explanation: Catalse neutralizes residual H2O2 that interfers with composite bonding and polymerization.